All are benefits of OCP's EXCEPT:
1. Improve menstrual abnormality
2. Protect against unwanted pregnancy
3. Protect from breast cancer
4. Protect from endometrial cancer

Correct answer: 3. Protect from breast cancer

Explanation: Ans. (c) Protect from breast cancerRef D.C Dutta 8th Ed./g 625BENEFITS OF COMBINED ORAL CONTRACEPTIVES (COCS)* Contraceptive benefits:# Protection against unwanted pregnancy (failure rate- 0.1 per 100 women year)# Convenient to use# Not intercourse related# Reversibility# Improving maternal and child health care* Non-contraceptive benefits:# Improvement of menstrual abnormalities# Reduction of dysmenorrhea (40%)# Reduction of menorrhagia (50%)# Reduction of premenstrual tension syndrome (PM)# Prevention of malignancies like Endometrial cancer (50%), Epithelial ovarian cancer 50%, Colorectal cancer (40%).